Open book and bucket handle injuries are seen in:
1. Spine
2. Pelvis
3. Femur
4. Humerus

Correct answer: 2. Pelvis

Explanation: B i.e. Pelvis